b-thalasemia trait; true about -
1. | HbF
2. | HbA2
3. M icrocytosis
4. All

Correct answer: 4. All

Explanation: Ans. is 'a' i.e., THbF; 'b' i.e., THbA2; 'c' i.e, Microcytosis There are three forms of beta-thalassemia Thalassemia major (Cooley's anemia) o The individual with thalassemia major is homozygous for beta-thalassemia genes. o It is severe transfusion dependent anemia. o Severe anemia manifests 6-9 months after birth, as hemoglobin synthesis switches from HbF to HbA. Thalassemia minor (beta-thalassemia trait) o The individual with thalassemia minor has only one copy of the beta thalassemia gene, i.e. they are heterozygous for beta-thalassemia genes. o This is mildest form with mild or absent anemia. o Patients are usually asymptomatic, and are typically identified during laboratory investigations. Thalassemia intermedia o Thalassemia intermedia is a condition intermediate between the major and minor forms. o Affected individuals can often manage a normal life but may need occasional transfusion. Hematological findings in Thalassemia Peripheral blood smear Anisocytosis (variation in size of RBCs) Target cells (hemoglobin collects in the center of the red cells) Poikilocytosis (variation in shape of RBCs) Basophilic stippling Microcytic hypochromic RBCs Fragmented RBC